Which of the following is true about Acute Tubular Necrosis
1. Urine specific gravity > 1.020
2. Urine osmolality >350 mosmol/kg
3. Urine Na < l Omeq/L
4. Blood urea : creatinine ratio < 20

Correct answer: 4. Blood urea : creatinine ratio < 20

Explanation: Answer is D (Blood urea creatinine ratio < 20):